Thayer - Main media is used for -
1. Staphylococcus
2. Neisseria
3. Streptococcus
4. Haemophilus influenza

Correct answer: 2. Neisseria

Explanation: Blood agar, chocolate agar, and muller Hinton starch casein hydrosylate agar are the media commonly used for culturing meningococci(N.meningitidis). Modified Thayermain medium ( with vancomycin, colistin a, d nystatin ) is a useful selective media REF:Ananthanarayan & Panicker's Textbook of Microbiology 8th Edition pg no: 225